All are steroid resistant except.
1. Post-streptococcal glomerulonephritis
2. Minimal change glomerulonephritis
3. RPGN
4. Recurrent hematuria

Correct answer: 2. Minimal change glomerulonephritis

Explanation: Answer is B (Minimal Change Glomerulonephritis) Steroids produce on excellent response in minimal change disease and remission has been found to occur in 75% pediatric patients. (Judged as an abolition of proteinuria)